After massive small bowel resection, intestines compensate by-
1. Increasing number of villi
2. Lengthtening of individual villi
3. Increased life span of absorptive cells
4. Increased synthesis of digestive enzymes by absorptive cells

Correct answer: 2. Lengthtening of individual villi

Explanation: Ans. is 'b' i.e., Lengthening of individual villi o Within a few hours after bowel resection, the remnant small intestine displays evilence of epithelial cellular hyperplasia. With aditional time, villi lengthen, intestinal absoiption surface area increases and digestive and absorption functions improve.